Transudative pleural effusion seen in-a) Nephrotic syndromeb) Rheumatoid arthritisc) Constrictive pericarditisd) Myxedemae) Pulmonary embolism
1. acde
2. bde
3. abcd
4. abde

Correct answer: 1. acde